Which one of the following cardiac lesions is at highest risk of occurrence of infective endocarditis
1. Atrial septal defect
2. Mitral valve prolapse without regurgitation
3. Valvular aortic regurgitation
4. Mitral stenosis

Correct answer: 3. Valvular aortic regurgitation